Scab or crust of abrasion appears brown:
1. Between 12-24 hrs
2. Between 2-3 days
3. Between 4-5 days
4. Between 5-7 days

Correct answer: 2. Between 2-3 days

Explanation: The scab is reddish-brown, less tender and adhering over the abraded area on 2nd to 3rd day. Ref: Park's Textbook of Preventive and Social Medicine By K. Park, 6th Edition, Page 4.3; Textbook Of Forensic Medicine And Toxicology: Principles And Practice By Vij, 2008, Preview.